Which of the following is a negative stain:
1. Negrosin
2. Fonatana
3. ZN stain
4. Albert stain

Correct answer: 1. Negrosin

Explanation: Ans. (a) Negrosin(Ref: Bancroft's histological techniques, 7th edition)Examples of negative stain are:*Negrosin: Stains bacteria, Cryptococcus, test for viability (sperms)*India Ink: Stains Cryptococcus